Congenital cyanotic heart disease with pulmonary oligemia is seen with –
1. ASD
2. VSD
3. Tricuspid atresia
4. Hypoplastic left ventricle

Correct answer: 3. Tricuspid atresia

Explanation: Classification and diagnosis of congenital heart diseases.

Congenital heart diseases are basically divided into the following groups: 1. Structural heart defects → In general these defects are known as congenital heart diseases.



Functional heart defects e.g., congenital cardiac arrhythmias.
Positional heart defects e.g., dextrocardia.
Structural heart defects (Congenital heart disease)


These are divided into two main groups.


Acyanotic congenital heart diseases
Cyanotic congenital heart diseases.


Each group is further divided according to : -


Pulmonary blood flow → Increased, normal or decreased (oligemia
Dominated (hypertrophied ventricle) → Right or left.